Part of the kidney unit involved in Arsenic Poisoning -
1. Collecting duct
2. Loop of henle
3. PCT
4. DCT

Correct answer: 3. PCT